Strawberry appearance is seen in
1. Lupus vulgaris
2. Rhinosporidiosis
3. Rhinoscleroma
4. Angiofibroma

Correct answer: 2. Rhinosporidiosis

Explanation: Rhinosporidiosis caused by rhinosporidium seeberi, mostly affects nose and nasopharynx, other sites such as lip, conjunctiva, epiglottis, larynx, trachea, bronchi, skin, vulva and vagina. In the nose, the disease is presented as leafy, polypoidal mass, pink to purple in colour and attached to the nasal septum or lateral wall. 
The mass is very vascular and bleeds too easily to touch. Its surface is studded with white dots representing the sporangia of fungus. hence giving it a "strawberry " appearance.